All of the following are branches of coeliac artery except:
1. Right gastric artery
2. Inferior pancreaticoduodenal artery
3. Cystic artery
4. Left gastroepiploic artery

Correct answer: 2. Inferior pancreaticoduodenal artery

Explanation: B i.e. Inferior pancreaticoduodenal artery